The treatment of choice for atticoantral variety of CSOM is:
1. Mastoidectomy
2. Medical management
3. Underlay myringoplasty
4. Insertion of ventilation tube

Correct answer: 1. Mastoidectomy

Explanation: (a) Mastoidectomy(Ref. Cummings, 6th ed., 2145)The main management of unsafe CSOM is mastoid exploration by mastoidectomy which can be intact canal wall or canal wall down procedureInitial medical management of atticoantral CSOM with local and systemic antibiotics is indicated only in superimposed acute infection or complication.Underlay myringoplasty is done in tubo-tympanic CSOM.Ventilation tube or grommet is inserted in serous Otitis media.